Most common cause of intracranial calcification is:
1. Pineal calcification
2. Intracranial aneurysm
3. Meningioma
4. Tuberculoma

Correct answer: 1. Pineal calcification

Explanation: Ans. Pineal calcification